Which of the following is not an absolute contraindication for tooth extraction:
1. Central hemangioma.
2. Acute infections.
3. Arteriovenous malformation.
4. Aneurysm.

Correct answer: 2. Acute infections.

Explanation: In case of acute infections, extraction can be done under antibiotic coverage.